A 17-year-old boy fell from his motorcycle and complains of numbness of lateral part of the arm. Examination reveals the axillary nerve is severed. Which of the following types of axons is most likely spared?
1. Postganglionic sympathetic axons
2. Somatic afferent axons
3. Preganglionic sympathetic axons
4. General somatic efferent axons

Correct answer: 3. Preganglionic sympathetic axons

Explanation: The axillary nerve contains no preganglionic sympathetic general visceral efferent (GVE) fibres, but it contains postganglionic sympathetic GVE fibres. It also contains general somatic afferent (GSA), general somatic efferent (GSE), and general visceral afferent (GVA) fibres.